The study of human behaviour is defined as:
1. Psychology
2. Psychiatry
3. Anthropology
4. None of the above

Correct answer: 1. Psychology

Explanation: Psychology is defined as the study of human behaviour of how people behave and why they behave in the way they do. Ref: Park 21st edition page: 623.